Abzyme is an
1. Isoenzyme
2. Allosteric enzyme
3. Abnormal enzyme
4. Antibody with a catalytic activity

Correct answer: 4. Antibody with a catalytic activity

Explanation: It has also become possible to produce hybrid enzymes by rearrangement of genes. Another innovative approach is the production of abzymes or catalytic antibodies, the antibody enzymes​.